Exotoxins are -
1. Lipopolysaccharide in nature
2. Produced by gram -ve bacilli
3. Highly antigenic
4. Very stable and resistant to chemical agents

Correct answer: 3. Highly antigenic

Explanation: Exotoxins are protein in nature
Produced by both gram (+) ve and gram (-) ve bacteria
They are highly antigenic
They are sensitive to chemical agents like formaldehyde and can be toxoided.